Quod hanc
1. Impotent man
2. Impotent with one particular woman
3. Impotent female
4. All of the above

Correct answer: 2. Impotent with one particular woman

Explanation: A man who is impotent with one woman but potent and can periform sexual act with another woman is called Quod hanc.